Aspirated synovial fluid in septic arthritis will have?
1. Clear color
2. High viscosity
3. Markedly increased polymorphonuclear leukocytes
4. None of the above

Correct answer: 3. Markedly increased polymorphonuclear leukocytes

Explanation: Ans. is 'c' i.e., Markedly increased polymorphonuclear leukocytes